All are true about supracondylar fracture of humerus except:
1. Posterior shift of distal fragment
2. Median nerve is most common nerve damaged
3. Injury of brachial artery may occur
4. Common in elderly

Correct answer: 4. Common in elderly

Explanation: Ans. d. Common in elderly Supracondylar Fracture of the Humerus: Complications :Immediate- injury to brachial artery & injury to nerve (median nerve-most common, radial nerve-sometime affected)Early- Volkmann's ischemiaLate complication- Malunion(cubitus varus deformity), myositis ossificans & Volkmann\\ ischemic contracture .Displacement: The distal fragment may be displaced in the following directionPosterior or backward shiftPosterior or backward tiltProximal shiftMedial or lateral shiftMedial tiltInternal rotation